When do you refer burns patient to a burn center, in case of partial thickness burn
1. Burn > 30% of body surface area
2. Burn > 25% of body surface area
3. Burn > 15% of body surface area
4. Burn > 10% of body surface area

Correct answer: 4. Burn > 10% of body surface area

Explanation: Partial thickness Burn > 10% of body surface area is criteria for referral to burn center.